Cellular support is provided by:
1. Mitochondria
2. Cytoskeleton
3. Golgi apparatus
4. All

Correct answer: 2. Cytoskeleton

Explanation: Cytoskeleton froms framework of the cell It has microtubules, microfilaments,intermediate filaments